Catamite is?
1. Older woman
2. Child
3. Homosexual adult
4. Hijra

Correct answer: 2. Child

Explanation: Ans. is 'b' i.e., Children o Catamite is the name given to the child who is the passive agent.Remembero In sodomy with children:-1) The act - Paederasty2) Active agent - Paedophile3) Passive agent (i.e. child) - Catamite.